Not a feature of dequervan's disease:
1. Autoimmune in etiology
2. TESR
3. Tends to regress spontaneousl
4. Painful & associated with enlargements of thyroid

Correct answer: 1. Autoimmune in etiology

Explanation: Answer is A (Autoimmune etiology) De Quervain's Thyroiditis is viral in origin (and not autoimmune). Symptoms usually follow an upper respiratory tract infection.